Delay in blood coagulation results from
1. Human thrombin
2. Heparin
3. Ferric chloride
4. Vit-K

Correct answer: 2. Heparin